Chief artery of the lateral surface of the cerebral hemisphere -
1. Anterior cerebral artery
2. Posterior cerebral artery
3. Middle cerebral artery
4. Posterior inferior cerebellar artery

Correct answer: 3. Middle cerebral artery